Borrelia undergoes antigenic variation due to:
1. Plasmids
2. Transposons
3. Intrinsic mutation
4. All of the above

Correct answer: 1. Plasmids

Explanation: Ans. is. 'a' i. e., Plasmids